Diagnostic meathod of choice in contact dermatitis
1. Clinical examination
2. Skin Biopsy
3. Tzank Smear
4. Patch Test

Correct answer: 4. Patch Test

Explanation: D i.e. Patch Test